Cause of exudative retinal detachment are all except
1. Scleritis
2. Toxaemia of pregnancy
3. Dysthyroid eye disease
4. Central serous retinopathy

Correct answer: 3. Dysthyroid eye disease

Explanation: C i.e. Dysthyroid eye disease